Lanugo hair first appears in a fetus at:
1. 2nd month
2. 3rd month
3. 4th month
4. 5th month

Correct answer: 3. 4th month

Explanation: Ans. 4th month